Which drug is contraindicated in a glaucoma patient suffering from bronchial asthma:
1. Timolol maleate
2. Latanoprost
3. Betaxolol
4. Brimonidine

Correct answer: 1. Timolol maleate